Sunflower cataract is associated with the inborn error of metabolism of which of the following?
1. Iron
2. Nickel
3. Copper
4. Zinc

Correct answer: 3. Copper

Explanation: Sunflower cataract is associated with the inborn error of copper metabolism (Wilson's disease). Ref: A K Khurana, 5th Edition, Page 91